Treatment of thyroglossal cyst
1. Sistrunk Operation
2. Cyst operation
3. Antibiotics
4. All the above

Correct answer: 1. Sistrunk Operation

Explanation: Ans. (a) Sistrunk operation* Sistrunk operation: Excision of cyst and also full tract up to the foramen caecum is done along with removal of central part of the hyoid bone, as the tract passes through it.* Sistrunk operation is also named for Filarial leg surgery